Dose of pralidoxime in OPC poisoning:
1. 1-2 mg IV
2. 1-2 mg IM
3. 1-2 g IV
4. 1-2 g oral

Correct answer: 3. 1-2 g IV

Explanation: Ans. 1-2 g IV